Commonest intra-abdominal tumour below 2 years ?
1. Neuroblastoma
2. Wilm's tomour
3. Hepatoblastoma
4. Lymphomaeoplasia

Correct answer: 1. Neuroblastoma

Explanation: Ans. is 'a' i.e., Neuroblastoma "Of all childhood neoplasms, Neuroblastoma is exceeded in frequency only be leukemia and brain tumors."-CSDT